Commonest complication of diptheria:
1. Myocarditis
2. Neuropathy
3. Endocarditis
4. Pericarditis

Correct answer: 1. Myocarditis

Explanation: Ans. is. 'a' i. e. Myocarditis